A normal-anion-gap metabolic acidosis occurs in patients with -
1. Diarrhoea
2. Diabetic ketoacidosis
3. Methyl alcohol poisoning
4. Acute renal failure

Correct answer: 1. Diarrhoea

Explanation: Causes of Non-Anion Gap Acidosis 
I Gastrointestinal bicarbonate loss

Diarrhea
External pancreatic or small-bowel drainage
Ureterosigmoidostomy, jejunal loop, ileal loop
Drugs

1. Calcium chloride (acidifying agent)


Magnesium sulfate (diarrhea)
Cholestyramine (bile acid diarrhea)

II. Renal acidosis
A. Hypokalemia

Proximal RTA (type 2)
Distal (classic) RTA type 1)

B. Hyperkalemia
1. Generalized distal nephron dysfunction (type 4 RTA)

Mineralocorticoid deficiency
Mineralocorticoid resistance
Na+ delivery to distal nephron
Tubulointerstitial disease
Ammonium excretion defect

III. Drug-induced hyperkalemia (with renal insufficiency)

Potassium-sparing diuretics (amiloride, triamterene, spironolactone)
Trimethoprim
Pentamidine
Angiotensin-converting enzyme inhibitors and AT-II receptor blocker.
Nonsteroidal anti-inflammatory drugs
Cyclosporine

IV Other
A. Acid loads (ammonium chloride, hyperalimentation)
B. Loss of potential bicarbonate: ketosis with ketone excretion
C. Expansion acidosis (rapid saline administration)
D. Hippurate
E. Cation exchange resins.